Rh negative mother, ICT negative was given Anti D at 28 week of pregnancy. Which of the following is the follow up schedule?
1. Give another dose of Anti D within 72 hour postpartum depending on the baby blood group and DCT
2. Give another dose of Anti D 72 hour postpartum irrespective of baby blood group
3. Anti-d immuno globulin has no effect on the status of the Indirect coombs test
4. Next dose of anti D at 34 weeks

Correct answer: 1. Give another dose of Anti D within 72 hour postpartum depending on the baby blood group and DCT

Explanation: Anti D in Rh negative women: Anti-D immune globulin is given prophylactically to all D negative, unsensitized women at approximately 28 weeks' gestation, and a second dose is given after delivery if the newborn is D-positive. There are various recommendations regarding a second dose after 6 weeks of the first injection (i.e. at 34 weeks) but it is not being practiced. Following delivery, anti-D immune globulin should be given within 72 hours. 40 percent of neonates born to D-negative women are also D negative,so Anti-D given only if newborn is confirmed to be D positive Post-natally, within 72 hours all women who deliver an Rh (D) positive baby should have quantification of feto-maternal haemorrhage to guide the appropriate dose of anti D prophylaxis If immune globulin is missed following delivery, it should be given as soon as the omission is recognized, because there may be some protection up to 28 days postpartum